Drawback of artesunate is :
1. Poor bioavailability
2. Rapid recrudescence of malaria
3. Hypoglycemia
4. Hemolysis

Correct answer: 2. Rapid recrudescence of malaria